Right coronary artery supplies all EXCEPT:
1. Right atrium
2. Posterior part of interventricular septum
3. Anterior interventricular groove
4. SA node

Correct answer: 3. Anterior interventricular groove

Explanation: Ans. C Anterior interventricular grooveRef: BDC's Human Anatomy, 6th ed. Vol: 1 pg. 264-65* The entire heart is supplied by two coronary arteries, arising from the ascending aorta. They run in coronary sulcus.* Anterior interventricular groove is supplied by left coronary artery.Right Coronary Artery Supplies* Right atrium* A large part of right ventricle EXCEPT the area surrounding the anterior interventricular groove* Posterior part of interventricular septum, and* Whole of the conducting system of the heart except a branch of the AV bundle.Left Coronary Artery Supplies* Left atrium* A large part of left ventricle except the area surrounding the posterior interventricular groove and a small part of the right ventricle surrounding the anterior interventricular groove.* Anterior part of the Interventricular septum* A part of the left branch of the AV bundle.